Causes of acute flaccid paralysis -
1. Poliomyelitis
2. Tick paralysis
3. ADEM
4. All of the above

Correct answer: 4. All of the above